"Nerve terminals release chemicals" release chemicals" ? discovered by:
1. Dale
2. Withering
3. Domagk
4. Loewi

Correct answer: 4. Loewi

Explanation: D i.e. Loewi Otto Loewi discovered that nerve terminals or synapse release chemicals. In his most famous experiment, Loewi took fluid from one frog heart and applied it to another, slowing the second heart and showing that synaptic signaling used chemical messengers. Before Loewi's experiments, it was unclear whether signalling across the synapse was bioelectrical or chemical. Loewi's famous experiment, published in 1921, largely answered this question. He dissected out of frogs two beating hearts: one with the vagus nerve which controls heart rate attached, the other heart on its own. Both hearts were bathed in a saline solution (i.e. Ringer's solution). By electrically stimulating the vagus nerve, Loewi made the first heart beat slower. Then, Loewi took some of the liquid bathing the first heart and applied it to the second heart. The application of the liquid made the second heart also beat slower, proving that some soluble chemical released by the vagus nerve was controlling the heart rate. He called the unknown chemical Vagusstoff. It was later found that this chemical corresponded to Acetylcholine